Turbinate that articulates with ethmoid is:
1. Superior
2. Middle
3. Inferior
4. All of the above

Correct answer: 3. Inferior

Explanation: (c) Inferior(Ref. Cummings, 6th ed., 754)The superior and middle turbinates are parts of ethmoid bone whereas inferior turbinate is an independent separate bone which articulates with the ethmoid.